Commonest complication of diabetes, complicating pregnancy is :
1. VSD
2. ASD
3. Sacral agenesis
4. Anencephaly

Correct answer: 1. VSD

Explanation: VSD